Which of the following general anesthetic techniques should be used for anesthesia in oral surgery:
1. Open drop method
2. Anesthesia with nasopharyngeal airway
3. Nasoendotracheal tube with throat pack
4. I.V. anesthesia with nitrous oxide and oxygen

Correct answer: 3. Nasoendotracheal tube with throat pack